"Face of giant panda" sign on MRI brain is seen in:
1. Wilson's disease
2. Japanese encephalitis
3. Rasmussen's encephalitis
4. Wernicke's encephalopathy

Correct answer: 1. Wilson's disease

Explanation: Ans. A. Wilson's diseaseAbnormalities Is Wilson's Diseasea. Basal ganglia lesions are most often bilateral and symmetrical.b. The putamina shows striking increase in T2 signal intensity. This is present to a lesser degree in other deep gray matter structures.c. Thalamic lesions are often present but typically spare the dorsomedial nuclei.d. White matter tracts including the dentatothalamic, corticospinal, and pontocerebellar tracts are commonly involved.e. The claustrum may show high T2 signal intensity. The midbrain is bright on T2 weighted images with relative sparing of its deep nuclei giving rise to the so-called Panda sign.